Acute onset of cough, stridor and respiratory distress in the absence of fever is suggestive of:
1. Foreign body
2. Acute asthma
3. Aspiration Pneumonia
4. Primary complex

Correct answer: 1. Foreign body

Explanation: Ans. A. Foreign bodyImmediate symptoms of foreign body inhalation include choking, coughing, increasing respiratory distress or difficulty in speaking.